Which of the following events does not occur in M phase of mitosis?
1. Condensation of the chromosomes
2. Replication of the genome
3. Fragmentation of the nuclear envelope
4. Alignment of the chromatids along the equatorial plate

Correct answer: 2. Replication of the genome

Explanation: DNA replication occurs during the S phase of the cell cycle and precedes mitosis. Condensation of the chromosomes occurs during the prophase of mitosis. Fragmentation of the nuclear envelope occurs during the prometaphase of mitosis. The chromatids align at the equatorial plate during metaphase and separate into two complete sets of daughter chromosomes during anaphase.